One of the following statements regarding pin retained restoration is NOT true
1. Pinholes should never be prepared at different levels on the tooth
2. A minimum of 0.5 mm clearance should be provided around the circumference of the pin for adequate condensation of the amalgam
3. Pinhole should located on a flat surface that is perpendicular to the proposed direction of the pinhole
4. The pinhole should be positioned no closer than 1 mm to DEJ and no closer than 1.5 mm to the external surface.

Correct answer: 1. Pinholes should never be prepared at different levels on the tooth